A 4 years old child presents with rash on lower limbs, arthritis, and abdominal pain. Urine examination reveals microscopic hematuria. The most likely diagnosis is:
1. Thrombaesthenia
2. Idiopathic thrombocytopenic purpura
3. Systemic lupus erythematosus
4. Henoch Schonlein purpura

Correct answer: 4. Henoch Schonlein purpura

Explanation: Ans. (d) Henoch Schonlein purpura(Ref: R 9/909-912)The clinical history is suggestive of nephritic syndrome with arthritis and purpura which is a triad of Henoch Schonlein purpura